Digoxin toxicity is precipitated by all except:
1. Electrolyte disturbance
2. Acute myocardial infarction
3. Hepatic disease
4. Renal disease

Correct answer: 3. Hepatic disease

Explanation: Ans. is 'c' Hepatic disease Digoxin toxicity is enhanced by renal failure as it is excreted through kidneys where as digitoxin toxicity is enhanced by liver failure because it is eliminated by hepatic metabolism.Other factors precipitating Digitalis toxicityAdvanced ageAcute myocardial infarction or ischemiaHypoxemiaHypomagnesemiaRenal insufficiencyHypercalcemiaElectrical cardioversionHypothyroidismHypokalemia (most common precipitating cause of digitalis intoxication. This often occurs in patients with heart failure as a result of diuretic therapy and secondary hyperaldosteronism).ALSO REMEMBERThe administration of following drugs raises the serum concentration of Digoxin by reducing both the renal and non renal elimination of digoxin and by reducing its volume of distribution.QuinidineVerapamilAmiodaronePropafenone